All of the following are features of vitamin E deficiency EXCEPT:
1. Areflexia
2. Seizure
3. Myopathy
4. Ataxia

Correct answer: 2. Seizure

Explanation: Vitamin E Deficiency: Loss of deep tendon reflexes Ataxia, dysarthria Myopathy Neuropathy In premature infants- hemolytic anemia